Bends in alpha helix structure are formed by which amino acid?
1. Glycine
2. Lysine
3. Methionine
4. Glutamine

Correct answer: 1. Glycine

Explanation: Amino Acids not Found in Alpha Helix are: Proline: Because of a secondary amino group, it introduces kinkin helix Glycine: Because of small side chain it creates a sharp bend in the structure (Glycine imparts flexibility to proteins) Amino acids with bulky R groups: e.g. Tryptophan Charged amino acids like Aspartate, Glutamate Amino acid with branch chain at beta carbon - Valine